Amino acid used in the synthesis of purines ?
1. Glycine
2. Ornithine
3. Alanine
4. Threonine

Correct answer: 1. Glycine

Explanation: Ans. is 'a' i.e.,Glycine Amino acids involved in purine synthesis - Glycine, aspartate, glutamine.Amino acids involved in pyrimidine synthesis - Glutamine, aspartic acid (aspartate).